Pneumoretinopexy is an outpatient procedure in which retinal detachmentis sealed with air insufflation. Which of the follov gas is used in pneu-etitiopexy?
1. Sulfur hexafluoride
2. Carbon dioxide
3. Nitrous oxide
4. Oxygen

Correct answer: 1. Sulfur hexafluoride

Explanation: Ans. a. Sulfur hexafluoride